Angular vein infection may cause thrombosis of:
1. Cavernous sinus
2. Sphenoidal sinus
3. Petrosal sinus
4. Sigmoid sinus

Correct answer: 1. Cavernous sinus

Explanation: (a) Cavernous sinus(Ref. Scott Brown, 8th ed., Vol 1; 965)Angular vein (from the medial angle of the eye) continues as the facial vein which through the deep facial vein communicates with the cavernous sinus through the pterygoid plexus of veins.